NADPH actions in RBC are all except
1. Produce ATP
2. Stabilizes the membrane
3. Reductive biosynthesis
4. GP6D deficiency causes decreased synthesis of NADPH

Correct answer: 1. Produce ATP

Explanation: *ATP is not produced by NADPH. ATP is produced by reducing equivalents like NADH, FADH2. *When NADH and other reducing equivalents transfer their electrons through Electron transport chain in the Mitochondrial inner membrane, it generates proton motive force which brings about the ATP synthesis by the ATP synthase complex. * NADP-linked dehydrogenases are found characteristically in reductive bio-syntheses, as in the extramitochondrial pathway of fatty acid synthesis and steroid synthesis, pentose phosphate pathway which is cytosolic. *In red blood cells, the pentose phosphate pathway is the sole source of NADPH for the reduction of oxidized glutathione catalyzed by glutathione reductase, and helps maintain RBC integrity by stabilizing the membrane.Since there are no Mitochondria in RBC; the ATP synthesized is by substrate-level phosphorylation. Mutations in the gene G6PDH leads to decreased activity of G6PDH leading to decreased levels of NADPH. Reduced NADPH is needed for the reduction of GSSG to GSH, a key Intracellular antioxidant, by the enzyme glutathione reductase. A deficiency in glucose-6-phosphate dehydrogenase renders red blood cells hypersensitive to oxidative stress.Ref: Harper's Biochemistry; 30th edition; Chapter 53; Red Blood Cells